Which of the following is derived from endoderm-
1. Gall bladder
2. Lens
3. Spleen
4. Lymph nodes

Correct answer: 1. Gall bladder